Cryptococcus is least likely to cause infection of
1. Skin
2. Bone
3. Brain
4. Kidney

Correct answer: 4. Kidney

Explanation: Pulmonary cryptococcus - mild pneumonitis. Cryptococcal meningitis: disseminated infection to the skin, lymph node and bone. Ref: Textbook of Microbiology, Ananthanarayan and Paniker; 9th edition